All are morphine effects EXCEPT:
1. Miosis
2. Delayed gastric emptying
3. Respiratory depression
4. Hyperalgesia

Correct answer: 4. Hyperalgesia

Explanation: (Ref: Goodman & Gillman's 14th ed. pg. 363-6* Effect of morphine is seen mainly at m-receptor. Effect on m-receptor depends on either supraspinal or spinal m- receptor.# Supraspinal effects: Physical dependence, euphoria, analgesia, sedation. (PEAS)# Spinal effects: Constipation, analgesia and respiratory depression. (CAR)* Effect of morphine at heart: No effect at usual dose but at high dose it can cause bradycardia and hypotension.* Effect of morphine at eye: No effect if applied locally. Miosis on systemic intake. Miosis can be worsened to pinpoint pupil upon systemic morphine toxicity.Note: Morphine causes analgesia. Hyperalgesia is one of thewithdrawal symptoms.